The closest pre-pubertal increase in height each year is
1. 1-2cm
2. 3-4cm
3. 5-7cm
4. 8-10cm

Correct answer: 3. 5-7cm

Explanation: Length at birth - 50cms At the end of 1st year-75 cms Increase in length is 25cm/yr -1st year of birth At the end of 4yrs - 100cm. From there on till 12 yrs ( i.e, pre pubertal age) increase in height is 6cm per year. There is marked acceleration in height during puberty. Ref- Ghai , Chapter 2